The difference between malingering and hysteria is:
1. Hypnosis
2. Malingering has poor prognosis
3. Hysteria is more common in females
4. Conscious motive in malingering

Correct answer: 4. Conscious motive in malingering

Explanation: The symptoms is malingering are produced consciously for some conscious motive (e.g monetary gain). In hysteria (dissociative disorders) the symptoms are produces unconsciously and the motive is also unconscious (e.g. attention or love from others).